A 40 year old adult man on medication for psychiatric illness for the last 2 weeks, suddenly develops marked rigidity, immobility, fever, fluetuating BP and heart rate. Most likely diagnosis ?
1. Akathisia
2. Parkinsonism
3. Malignant neuroleptic syndrome
4. Catatonic schizophrenia

Correct answer: 3. Malignant neuroleptic syndrome

Explanation: Ans. is 'c' i.e., Neuroleptic malignant syndrome